Most common site of osteoporosis -
1. Humerus
2. Vertebrae
3. Scapula
4. Flat bones

Correct answer: 2. Vertebrae

Explanation: Ans. is 'b' i.e.. Vertebrae o Most common site of osteoporosis is vertebrae.Clinical features of osteoporosiso Osteoporosis is an asymptomatic disorder unless complications (predominantly fractures) occur,o Most common symptom of osteoporosis is back pain secondary to vertebral compression fracture.o Dorso-lumbar spine is the most frequent site.o Other common sites of fracture are lower end radius (Colle's fracture) and fracture neck femur,o Osteoporotic fracture (fragile fractures) are: i) Fracture vertebrae (mostcommon), ii) Colie'sfracture, iii) Fracture neck femur.o Serum calcium, phosphate and alkaline phosphatase are normal in osteoporosis.Radiological features of osteoporosiso At least 30% of the bone mass must be lost before it becomes apparent on x-ray.o X-ray findings are : -i) Loss of vertical height of a vertebra due to collapse.ii) Cod fish appearance: The disc bulges into the adjaceni vertebral bodies so that the disc becomes biconvex.iii) Ground glass appearance of the bones, conspicuous in bones like the pelvis.iv) Singh's index : Singh et al. graded osteoporosis into 6 grades based on the trabecular pattern of the femoral neck trabeculae. Details are outside the scope of this book.v) Metacarpal index and vertebral index are other methods of quantification of osteoporosis.